Typical JVP finding in cardiac tamponade
1. Absent 'Y' descent
2. Prominant 'a' wave
3. Absent 'a' wave
4. Prominant 'Y' wave

Correct answer: 1. Absent 'Y' descent

Explanation: Ref Harrison 19 th ed pg 1462 Cardiac tamponade is characterized by jugular venous diatenaiod ( increased JVP) with a prominent X descent but an ,absent Y descent.